The first jaw relation to be recorded
1. Horizontal jaw relation
2. Vertical jaw relation
3. Orientation jaw relation
4. Any of the above

Correct answer: 3. Orientation jaw relation